Copper containing enzyme is
1. Catalase
2. Cytochrome oxidase
3. LDH
4. None

Correct answer: 2. Cytochrome oxidase